All of the following are complications of traumatic hyphema except?
1. Rebleeding
2. Pupillary Block
3. Comeal Ulcer
4. Posteriorsynechiae

Correct answer: 3. Comeal Ulcer

Explanation: Ans. is 'c' i.e., Corneal Ulcer Complications of traumatic hyphema1) Obstruction of trabecular meshwork with associated intraocular pressure elevation2) Peripheral anterior synechiae (PAS)3) Posterior synechiae4) Corneal bloodstaining5) Rebleeding: Can occur when the initial clot retracts and lyses allowing for a second episode of bleeding. Rebleeds are generally more severe than the initial bleed, more likely to lead to glaucoma, corneal blood staining, and synechiae formation. It has been reported to occur 3.5% to 38% of the timeand probably 5-10% overall.6) Pupillary block7) Amblyopia (pediatric patients)